Largest reserve of energy in body stored as:
1. Liver glycogen
2. Muscle glycogen
3. Adipose tissue
4. Blood glucose

Correct answer: 3. Adipose tissue

Explanation: C i.e. Adipose tissueAdipose tissueFatty acid stored in adipose tissue in form of neutral TAG, serve as the body's major fuel storage reserveQ. It is highly concentrate source of energy as it is highly reduced, largely anhydrous and yield 9 k cal/gm energy (as compared to 4 k cal/ g of protein & carbohydrate).Fat stores constitute 75% of energy reserve and protein stores 25%. Glycogen is the smallest resource of stored energy. Metabolic fuel stores in 70 kg man areFat :15 kg = 135,000 K cal > Protein : 6 kg = 24,000 k cal > Glycogen : 0.2 kg = 800 k cal.